Trochlear and abducent nerve pass through
1. Optic canal
2. Superior orbital fissure
3. Inferior orbital fissure
4. Infraorbital foramen

Correct answer: 2. Superior orbital fissure

Explanation: Optic nerve runs backwards and medially, and passes through the optic canal to enter the middle cranial fossaInferior orbital fissure transmits maxillary nerve, the zygomatic nerve etc.Infraorbital foramen transmits the infraorbital nerve and vessels